The best method of teaching an urban slum about ORS is -
1. Lecture
2. Role play
3. Demonstration
4. Flash card

Correct answer: 3. Demonstration

Explanation: A demonstration is a carefully prepared presentation to show how to perform a skill or procedure.Here a procedure is carried out step by step before an audience or the target group,the demonstrator ascertaining that the audience understands how to perform it (refer pgno:864 park 23 rd edition)